A boil is due to staphylococcal infection of -
1. Hair follicle
2. Sweat gland
3. Subcutaneous tissue
4. Epidermis

Correct answer: 1. Hair follicle

Explanation: • Folliculitis, carbuncles and furuncles are all types of localized (superficial) skin infections that fall under the category of boils.
• Hair follicles serve as portals for a number of bacteria, although S. aureus is the MC cause of localized folliculitis.